Which of the following is the best test for diagnosis of paroxysmal nocturnal hemoglobinuria?
1. Sucrose lysis test
2. Ham test
3. Flow cytometry
4. Bone marrow aspiration

Correct answer: 3. Flow cytometry

Explanation: - Best investigation for diagnosing PNH - Flaer flow cytometry - Biphenotypic cells are seen - Other investigations used are: Ham's acidified serum test Sucrose lysis test